Paraboiling of rice reduces
1. Pellagra
2. Beriberi
3. Dermatitis
4. All of the above

Correct answer: 2. Beriberi